A child is born to a woman 270 days after the death of her husband. What is the legal state of the child in this scenario?
1. Legitimate
2. Illegitimate
3. Bastard
4. None

Correct answer: 1. Legitimate

Explanation: A person born in a lawful marriage is legitimate. If a person is born during the continuance of a legal marriage, or within 280 days after the dissolution of the marriage by divorce or death of the husband, his birth is presumed to be legitimate (S.112, IFA) Ref: Textbook of Forensic Medicine and Toxicology by Narayan Reddy, Edition 21, Page - 335